In Klippel-feil syndrome, the patient has all of the following clinical features except:
1. Low hairline
2. Bilateral neck webbing
3. Bilateral shortness of sternocleidomastoid muscles
4. Gross limitations of neck movements

Correct answer: 3. Bilateral shortness of sternocleidomastoid muscles

Explanation: Klippel-feil syndrome Congenital fusion of 2 or more cervical vertebrae Classic triad (seen in fewer than 50%)- Low posterior hair line Short webbed neck Limited cervical ROM Other features- Sprengel's deformity, jaw anomalies, partial loss of hearing, torticollis,scoliosis